Protein A of staph aureus is part of bacterial?
1. Genome
2. Cell wall
3. Limiting membrane
4. Plasmid

Correct answer: 2. Cell wall

Explanation: ANSWER: (B) Cell wallREF: Jawetz Microbiology, 24th Ed, Ch. 20Protein A is a cell wall component of many S aureus strains that binds to the Fc portion of IgG molecules except IgG3. The Fab portion of IgG bound to protein A is free to combine with a specific antigen. Protein A has become an important reagent in immunology and diagnostic laboratory technology; for example, protein A with attached IgG molecules directed against a specific bacterial antigen will agglutinate bacteria that have that antigen (''coagglutination").Some S aureus strains have capsules, which inhibit phagocytosis by polymorphonuclear leukocytes unless specific antibodies are present. Most strains of S aureus have coagulase, or clumping factor, on the cell wall surface; coagulase binds nonenzymatically to fibrinogen, yielding aggregation of the bacteria.